A 5 year old child presented with periorbital swelling and oliguria. Nephrotic syndrome is suspected. Which of the following is the commonest type of nephrotic syndrome in this child?
1. Minimal change disease
2. Chronic glomerulonephritis
3. Hemolytic uremic syndrome
4. Congenital nephrotic syndrome

Correct answer: 1. Minimal change disease

Explanation: Minimal change disease (MCD), sometimes known as nil lesion, causes 70-90% of nephrotic syndrome in childhood but only 10-15% of nephrotic syndrome in adults. Affected patients are generally younger than age 6 years at onset. Typically, periorbital swelling and oliguria are noted, often following an influenza-like syndrome. Minimal change disease on renal biopsy shows no obvious glomerular lesion by light microscopy and is negative for deposits by immunofluorescent microscopy. Ref: Lewis J.B., Neilson E.G. (2012). Chapter 283. Glomerular Diseases. In D.L. Longo, A.S. Fauci, D.L. Kasper, S.L. Hauser, J.L. Jameson, J. Loscalzo (Eds), Harrison's Principles of Internal Medicine, 18e.